Sickle cell Anemia leads to resistance towards
1. P. Falciparum
2. P. Ovale
3. P. Malariae
4. P. Vivax

Correct answer: 1. P. Falciparum

Explanation: Ans. is 'a' i.e., P. Falciparum Red cell surface antigen that offer protection against P. fakiparum Duffy blood group system ABO (H) blood group system Glycophorins Gerbich antigen Complement receptor type I Knops blood group Abnormalities of the red cell cvtoskeleton which may offer protection against Rfalciparum South-east asia ovalocytosis Hereditary elliptocytosis Hereditary spherocytosis Sickle cell HbA/S